Most common indication for pediatric liver transplant?
1. Wilson disease
2. Biliary atresia
3. Neonatal hepatitis
4. Cystic fibrosis

Correct answer: 2. Biliary atresia

Explanation: Ans: b (Biliary atresia) Ref: Nelson, 18th ed, p. 1712, Table 365-1; 17th ed, p. 1349, Table 349-1Most frequent indication of pediatric liver transplantation is extrahepatic biliary atresia after a failed portoenterostomy (Kasai) procedure.Causes of neonatal cholestasisIntrahepatic* Idiopathic-- Commonest cause* Infections-- TORCH, hepatitis, HIV, parvo B19, Reovirus, Bacterial infections esp E. coli.* Metabolic amino acid-- TyrosinemiaCHO-- Galactosemia, fructosemia, GSDIVLipid-- Neimann Pick, Gaucher, Wolman* Inherited-- a 1 antitrypsin deficiency, cystic fibrosis, neonatal iron storage disease.* Endocrine-- Hypopituitarism, hypothyroidism* Chromosomal-- Down / Edwards syndrome* Others-- Zellweger / Watson Alagille / Byler / neonatal lupus / histiocytosisExtra hepatic* EHB A (extra hepatic biliary atresia)* Choledochal cyst* Inspissated bile* Sclerosing cholangitis* Bile duct stenosis